Which is the most common cause of SVC syndrome?
1. Lung cancer
2. Trauma
3. Thymoma
4. Fibrosis of SVC

Correct answer: 1. Lung cancer

Explanation: Lung cancer is the most common cause of SVC syndrome. Non Hodgkins lymphoma is the second most common cause. Primary mediastinal malignancies such as thymoma and germ cell tumors account for less than 2% cases. Breast cancer is the most common metastatic disease causing SVC syndrome.